Which of the following ligaments is derived from the tendon of semimembranosus?
1. Oblique popliteal ligament
2. Fibular ligament
3. Medial collateral ligament
4. Ligamentum patellae

Correct answer: 1. Oblique popliteal ligament

Explanation: OBLIQUE POPLITEAL LIGAMENT:- Expansion from the tendon of semimembranosus.Runs upwards and laterally, blends with the posterior surface of the capsule, and is attached to the intercondylar line and lateral condyle of femur.Related to politeal artery.Structures piercing the ligament:-1. Middle Genicular vessels.2. Posterior division of obturator nerve. {Reference BDC 6E vol2 pg145 }